Bilateral phrenic nerve palsy is caused by -
1. Carcinoma bronchus
2. Polio
3. Medullary carcinoma thyroid
4. Paget's disease

Correct answer: 2. Polio